Dimpling in cancer breast happens due to
1. Edema
2. Infiltration of cooper's ligaments
3. Subdermal lymphangitis
4. Scaring

Correct answer: 2. Infiltration of cooper's ligaments

Explanation: Ans. (b) Infiltration of Cooper's Ligament(Ref. Bailey 26th edition Page 798)* Infiltration of Suspensory ligament of breast (Cooper's) results in Dimpling of breast in cancer